Serum alkaline phosphatase levels increases in:
1. Hypothyroidism
2. Carcinoma of prostate
3. Hyperparathyroidism
4. Myocardial infarction

Correct answer: 3. Hyperparathyroidism

Explanation: Ans. C. HyperparathyroidismSerum alkaline phosphatase is increased in hyperparathyroidism, rickets, obstructive jaundice and Paget's disease.